A 25 years of male presents to emergency department following a road traffic accident. On examination there is pelvic fracture and blood at urethral meatus. Following are true about patient except:
1. Anterior urethra is the most likely site of injury
2. Retrograde urethrography should be done after the patient is stabilized
3. Foley catheter may be carefully passed if the RGU is normal
4. Rectal examination may reveal a large pelvic

Correct answer: 1. Anterior urethra is the most likely site of injury

Explanation: INJURIES TO POSTERIOR URETHRA ETIOLOGY MC site injured in pelvic fracture is Membranous urethra. CLINICAL FEATURES Retention of urine + Blood at urethral meatus + Pelvic hematoma and High lying prostate Presence of blood at external urethral meatus indicates that Immediate urethrography Pie In sky appearance on IVP in membranous urethral injury. INSTRUMENTAL EXAMINATION In suspected partial injury, gentle single attempt to catheterize the patient acts as a stent over which urethra heals. Retrograde urethrography should be done after the patient is stabilized Anterior Urethral Injuries - Site of injury - Bulbar part of urethra Causes: External blow / kick, Straddle / manhole injury Clinical features: Urinary retention, blood at meatus, perineal hematoma. - Retrograde urethrogram (RGU) should always be the first investigation in a suspected urethral injury. - Management - SPC (Suprapubic cystostomy) followed by delayed repair within 3 months